In a suspected case of death due to which of the following poison cadaveric rigidity lasts longer than usual?
1. Lead
2. Arsenic
3. Mercury
4. Copper

Correct answer: 2. Arsenic

Explanation: Postmortem rigidity is prolonged in arsenic poisoning. Convulsions prior to death can cause prolongation of rigor mortis, arsenic poison is found to cause convulsions resulting in prolongation of rigor mortis. Ref: Forensic Medicine and Toxicology By John Dixon Mann, Page 453